Chronological age 10 yrs, mental age 4 yrs. What that person called as ?
1. Idiot
2. Imbecile
3. Normal
4. Genius

Correct answer: 2. Imbecile

Explanation: IQ =mental age /chronological age *100 mental age -4, chronological age -10 4/10 *100 = 40 level of intelligence IQ range idiot 0-24 imbecile 25-49 moron 50-69 borderline 70-79 low normal 80-89 normal 90-109 superior 110-119 very superior 120-139 near genius 140 and above ref ;(page no;679)23rd edition of PARK's textbook of Preventive and Social medicine